Marker for neuroblastoma among the following is?
1. NMP 22
2. Chromogranin A
3. LDH
4. P 2 microglobulin

Correct answer: 2. Chromogranin A

Explanation: Ans. is 'b' i.e., Chromogranin-A * Neuroendocrine markers of neuroblastomai) CD-56ii) Chromogranin-Aiii) Synaptophysin